The ratio of the dose that produces toxicity to the dose that produces a clinically desired or effective response in a population of individual is known as:DELETE REPEAT
1. Efficacy
2. Potency
3. Therapeutic index
4. Partial agonist

Correct answer: 3. Therapeutic index

Explanation: ref ; KD Tripathi pharmacology 7th edition (page no; 55) The gap between the therapeutic effect DRC (Dose Response Curve) and the adverse effect DRC defines the safety margin or the therapeutic index of a drug. Therapeutic index =median lethal dose /median effective dose or LD 50/ ED 50